Which of the following is not related to kala azar?
1. Pancytopenia
2. Oral miltefosine
3. Hyperpigmentation
4. Tropical splenomegaly syndrome

Correct answer: 4. Tropical splenomegaly syndrome

Explanation: - Tropical splenomegaly syndrome is now known as Hyperreactive malarial syndrome (HMS) is prevalent in native residents of regions where malaria is endemic.Patients with HMS have high levels of antibody for Plasmodium falciparum, Plasmodium vivax, or Plasmodium ovale. - Presentation of Kala Azar -fever, chills and spleen progressively becomes greatly enlarged, and bone marrow damage leads to pancytopenia. The liver is somewhat enlarged, and generalized lymphadenopathy may occur. Hyperpigmentation of skin can be seen, leading to the name Kala Azar. Oral miltefosine can be used for treatment.(Liposomal Amphotericin B is preferred)